Which of the following is not a boundary of the Koch's triangle?
1. tendon of todaro
2. IVC opening
3. coronary sinus ostium
4. septal cusp of tricuspid valve

Correct answer: 2. IVC opening

Explanation: Koch's triangle boundaries tendon of Todaro opening of coronary sinus at the base septal cusp of tricuspid valve (. atrio ventricular valve) AV node at apex